Malleus and Incus are derived from?
1. First arch
2. Second arch
3. Third arch
4. Fourth arch

Correct answer: 1. First arch

Explanation: A i.e. First arch